Fear of dark is called
1. Nyctophobia
2. Ailurophobia
3. Photophobia
4. Agoraphobia

Correct answer: 1. Nyctophobia

Explanation: Nycto phobia : Fear of dark.
Ailuro phobia : Fear of cats.
Photo phobia : Fear of light.
Agora phobia : Fear of places from which escape is different.